All of the following are features of Guillian-Barre syndrome, EXCEPT:
1. Inflammatory
2. Demyelinating polyneuropathy
3. Descending paralysis
4. Plasmapheresis can be done

Correct answer: 3. Descending paralysis

Explanation: GUILLIAN-BARRE SYNDROME: *Inflammatory, acute *Demyelinating polyneuropathy *Autoimmune disorder *Ascending paralysis (weakness beginning in the feet and hands and migrating towards the trunk) Etiology: Preceding evidence of viral infection : CMV, EBV, Campylobacter jejuni, Lupus erythematosus, lymphoma. Investigations: CSF findings: Albumin - cytological disassociation, CSF pleocytosis with cells > 50/cu mm is against diagnosis of GBS. Prognosis: recovery is usually unremarkable, although complete recovery may not be there. Treatment: Both plasmapheresis and IVIG are equally effective.